Bezold abscess is located in ?
1. Submandibular region
2. Sternocleidomastoid muscle
3. Diagastric triangle
4. Infratemporal region

Correct answer: 2. Sternocleidomastoid muscle

Explanation: Ans. is 'b' i.e., Sternocleidomastoid muscle Abscesses related to mastoid infection Acute mastoiditis can be complicated by following abscesses : ? 1) Postauricular abscess : - This is the commonest subperiosteal abscess associated with acute mastoiditis. It occurs lateral to the cortex of mastoid in MacEwen's triangle. 2) Bezold abscess : - Pus passes through mastoid tip and presents as upper neck swelling. The abscess may :- Lies deep to sternocleidomastoid Follow the posterior belly of diagastric and presents swelling between mastoid tip and angle of jaw. Be present in posterior triangle Reach the parapharyngeal pouch Track down along the carotid vessels. 3) Zygomatic abscess :- Infection of zygomatic air cells. 4) Meatal (Luc's) abscess :- Pus passes between the antrum and external osseous meatus. 5) Citelli's abscess :- Abscess is formed behind the mastoid more towards occipital bone. Some consider it as abscess of diagastric triangle. 6 Parapharyngeal and retropharyngeal abscess.